Following organelles are involved in the formation of N-glycosylated producta) Golgi apparatusb) Nucleolusc) SERd) RERe) Peroxisomes
1. ad
2. c
3. ac
4. ab

Correct answer: 1. ad

Explanation: Organelles involved in N-linked glycosides are:- Ribosomes (synthesis of polypeptide chain), rough endoplasmic reticulum: RER (synthesis of oligosaccharide unit on dolichol, transfer of oligosaccharide unit from dolichol to the polypeptide chain, processing) and Golgi apparatus (processing, i.e. trimming and/or addition of monosaccharides).